Dye used in SPECT-
1. O-14
2. Tc-99
3. Nitrogen-16
4. Iodine 124

Correct answer: 2. Tc-99

Explanation: SPECT imaging: It has a 360deg revolving gamma camera giving 3D images Tc99m radioisotope is used (t1/2 = 6 hrs) Tc99m - HMPAO: Lipophilic/Lipid soluble Crosses blood brain barrier Cerebral perfusion is evaluation